All of the following are the markers for malignant germ cell tumors of ovary except :
1. CA - 125
2. Alpha feto protein
3. p HCG
4. LDH

Correct answer: 1. CA - 125

Explanation: Ans. is a i.e. CA - 125